The following are characteristic of autism EXCEPT:
1. Onset after 6 years of age
2. Repetitive behavior
3. Delayed language development
4. Severe deficit in social interaction

Correct answer: 1. Onset after 6 years of age

Explanation: Ans. a (Onset after 6 years of age). (Ref. OP Ghai Paediatrics 6th ed. 65)AUTISM# Onset occurs before 3 years of age.# Diagnostic triad of features is:- Impaired social interaction- Impaired communication- Impaired imagination# Language development is delayed.# Rigid repetitive pattern of behavior is seen.